AML best prognosis is seen with -
1. Acute mvelo monocytic leukemia.
2. Acute monocytic leukemia.
3. Acute promyeloblastic lukemia (M.3).
4. Eiythro leukemia

Correct answer: 3. Acute promyeloblastic lukemia (M.3).

Explanation: Ans. is 'c' i.e., Acute promyeloblastic leukemia (M.3) Acute promvcloblastic leukemiaAlso known as M-3Associated with t( 15:17)DIC, chloromas commonVery responsine to retinoic acid combined with anthracylines.M.7 (acute megakaiyocytic leukemia) mostly seen in down syndrome. French-American-British (FAB) Classification of Acute Myelogenous LeukemiaSUBTYPECOMMON NAMEMlAcute myeloblastic leukemia without maturationM2Acute myeloblastic leukemia with maturationM3Acute promyeloblastic leukemiaM4Acute myelomonocytic leukemiaM5Acute monocytic leukemiaM6ErythroleukemiaM7Acute megakaryocytic leukemia